Hyperuricemia is seen with
1. Acetazolamide
2. Chlorthiazide
3. Mannitol
4. Triamterene

Correct answer: 2. Chlorthiazide

Explanation: Chlorthiazide is a thiazide diuretic which can lead to hyper uricema, as Thiazide diuretics competitively inhibit excretion of uric acid.